Smooth muscle is not pain sensitive to:
1. Cutting
2. Distension
3. Stretching
4. Torsion

Correct answer: 1. Cutting

Explanation: Smooth muscle is not sensitive to cutting type of pain. E.g. The intestinal smooth muscle. The reason is - It is sparsely innervated by A-delta type of nerve fibers that carry fast pain.